Lens derives its nutrition from-
1. Tears
2. Small capillaries
3. Aqueous
4. None

Correct answer: 3. Aqueous

Explanation: Ans. is 'c' i.e., Aqueouso Lens is an avascular structure (has no blood vessels) but receives its nutrition mostly from aqueous humorQ that flows around lens and carries away its waste products,o Some nutrition is derived from vitreous humor tooQ but it is very less than that is derived from aqueous humor,o The lens does not need much oxygen, but receives glucose as its main energy source.o Glucose from the aqueous (mainly) and vitreous diffuses into the lens0 and is rapidly metabolized through four main pathways :Anaerobic glycolysis (80%)Krebs (oxidative) cycleHMP shuntSorbitol pathway